Cartilagenous part of external auditory canal is -
1. Medial 1/3
2. Lateral 1/3
3. Medial 2/3
4. Lateral 2/3

Correct answer: 2. Lateral 1/3